Not true about synovial chondromatosis
1. Snow storm appearance of joint
2. Most common cause of loose bodies in joint
3. Most common in knee joint
4. Trauma can lead to synovial chondromatosis

Correct answer: 2. Most common cause of loose bodies in joint

Explanation: Most common cause of loose bodies is osteoarthritis.